Which of the following characteristics make metformin a preferred biguanide than phenformin ?
1. It is more potent
2. It is less liable to cause lactic acidosis
3. It does not interfere with vitamin B12 absorption
4. It is not contraindicated in patients with kidney disease

Correct answer: 2. It is less liable to cause lactic acidosis